Titration of the dose of a drug with the response can be done with which of the following routes of Administration
1. Sublingual
2. Transdermal
3. Inhalation
4. Subcutaneous

Correct answer: 3. Inhalation

Explanation: Ref-KDT 6/e p9 Inhalation anaesthetic agents like hello than are used in the clinical practice by titration of dose with response